Treacher collins syndrome, all are present except -
1. Aural artesia
2. Webbed neck
3. Hypoplasia of mandible
4. Atrophic lid margins

Correct answer: 2. Webbed neck